Hemodialysis associated with amyloid pattern
1. AA
2. AL
3. Beta - 2- microglobulin
4. ATTR

Correct answer: 3. Beta - 2- microglobulin

Explanation: Ans. is 'c' i.e., Beta-2-microglobulin